The magnetic field in an MRI machine is measured in -
1. Housefield units
2. Tesla
3. MHz
4. None

Correct answer: 2. Tesla

Explanation: Strength of magnetic field used in MRI is measured by Telsa units CT attenuation values are measured by Hounsfield units. Frequency of sound waves used in USG are measured by MHz